Tachyzoites are seen in:
1. Toxoplasma
2. Toxocara
3. Pulmonary eosinophilia
4. Ascaris

Correct answer: 1. Toxoplasma

Explanation: Ans. is 'a' i.e., Toxoplasma(Ref: Harrison, 18th/e, p. 1722; 17th/e, p. 1305)* Bradyzoites (released from tissue cyst) and sporozoites (released from oocyst) enter the small - intestinal epithelium and transform into rapidly dividing tachyzoites.